EGFR antagonist, Cetuximab is used in cases of
1. Palliative treatment of head and neck cancer
2. Anal canal carcinoma
3. Gastric carcinoma
4. Small cell lung carcinoma

Correct answer: 1. Palliative treatment of head and neck cancer

Explanation: Cetuximab and pemtumomab are directed against the epidermal growth factor receptor (EGFR), a transmembrane glycoprotein involved in signaling pathways affecting growth and proliferation of tumor cells. Both cetuximab and pemtumomab, when given alone, have been shown to benefit a small proportion of previously treated patients